Spontaneous rupture of the liver occurs in
1. Hepatoma
2. Spherocytosis
3. Portal hypertension
4. Secondary deposits

Correct answer: 1. Hepatoma

Explanation: Clinical features Most common symptom is abdominal pain Weight loss Non specific - Anorexia, weight loss Hepatomegaly Paraneoplastic syndrome- Hypercholesterolemia, Hypoglycemia, Erythrocytosis, Hypercalcemia Vascular bruit Rupture of tumor(2-5%) GI bleed(10%) Jaundice due to biliary obstruction (10%) Ref:Sabiston 20th edition Pgno :1458-1463